A rock climber falls on his shoulder, resulting in a chipping off of the lesser tubercle of the humerus. Which of the following structures would most likely have structural and functional damage?
1. Supraspinatus muscle
2. Infraspinatus muscle
3. Subscapularis muscle
4. Teres minor muscle

Correct answer: 3. Subscapularis muscle

Explanation: The subscapularis muscle inserts on the lesser tubercle of the humerus. Muscle Attachment Supraspinatus Greater tuberosity Infraspinatus Greater tuberosity Teres minor Greater tuberosity Subscapularis Lesser tuberosity